Feta] erythropoietin production is inhibited by?
1. Testosterone
2. Estrogen
3. Cortisol
4. Hypoxia

Correct answer: 2. Estrogen

Explanation: ANSWER: (B) EstrogenREF: William's 23rd ed chapter 4, Guyton physiology 12th ed page 932ERYTHROPOIESISThis process is controlled primarily by fetal erythropoietin because maternal erythropoietin does not cross the placenta. Fetal erythropoietin production is influenced by testosterone, estrogen, prostaglandins, thyroid hormone, and lipoproteins. After birth, erythropoietin normally may not be detectable for up to 3 months.Factors influencing erythropoietin productionIncreaseDecreaseTestosteroneThyroid hormonesCorticotropinProlactinProstaglandins A2, El, and E2 enhance erythropoiesis by augmenting the renal cortical release of erythropoietinEstrogenProstaglandins F2aLipoproteinTumor necrosis factorInterleukin 1